lA/A+CI x 100 in the given table is :-Test resultPersons with diseasePersons without diseaseTotalPositiveABA + BNegativeCDC + D
1. Specificity
2. Sensitivity
3. PPV
4. NPV

Correct answer: 2. Sensitivity

Explanation: Ans. is 'b' i.e., Sensitivity